All of the following are typical autonomic side effects of antipsychotic drugs EXCEPT:
1. Constipation
2. Dry mouth and throat
3. Postural hypertension
4. Urinary retention

Correct answer: 3. Postural hypertension

Explanation: Postural (orthostatic) hypotension occurs most often during the first few days of treatment, and most patients readily develop a tolerance to it. Other autonomic side effects may include cutaneous flushing, paralytic ileus, miosis, mental confusion, and mydriasis. A neuroleptic is a subtype of antipsychotic drug that produces a high incidence of extrapyramidal side effects (EPS) at clinically effective doses. The"atypical" antipsychotic drugs, are now the most widely used type of antipsychotic drug. Ref: Meltzer H. (2012). Chapter 29. Antipsychotic Agents & Lithium. In B.G. Katzung, S.B. Masters, A.J. Trevor (Eds), Basic & Clinical Pharmacology, 12e.